Congenital glaucoma presents as:
1. Microphthalmos
2. Photophobia
3. Leucocoria (white reflex)
4. Pain

Correct answer: 2. Photophobia

Explanation: Ans. Photophobia